Common differential diagnosis of verucous carcinoma is -
1. Condylomata lata
2. Condylomata acuminata
3. Adenocarcinoma
4. Tuberculosis

Correct answer: 2. Condylomata acuminata

Explanation: Ans. is 'b' Condyloma accuminata (Ref Chandrasoma Taylor, 3/e, p 797).Both verrucous carcinoma and condyloma acuminata presents with verrucous growth on vulva and differentiation between these 2 is very difficult.Chandrasoma Taylor states "Verrucous carcinoma is a variant of well differentiated squamous carcinoma, characterised by a polypoid growth pattern with little infiltrative tendency. Distinction from condyloma acuminata very difficult